Niacin toxicity causes all except-
1. Hepatitis
2. Diabetes
3. Hypertriglyceridemia
4. Macular edema

Correct answer: 3. Hypertriglyceridemia

Explanation: niacin taken as supplement or as therapy for dyslipidemiadyslipidemia.Harrison 17 pg 443-